Concentration of Potassium in children's CSF is:
1. 3 mEq/L
2. 5 mEq/L
3. 10 mEq/L
4. 15 mEq/L

Correct answer: 1. 3 mEq/L

Explanation: Ans.: A (3 mEq/L) Potassium level in serum of Child 3.4-4.7 mEq/LPotassium in CSF of child : 70% of plasma 1evel i,e 2.38-3.29TestsConventional UnitsSI UnitsPorphyrins, urineCoproporphyrinUroporphyrin34-230 meg/24 h 27-52 mcg/24 h52-351 nmol/24h 32-63 nmol/24hPotassium, plasma (Hep)MalesFemales3.5-4.5 mEq/L3.4-6.0 mEq/L3.5-4.5 mmol/L3.4-4.4 mmol/LPotassiumSerumPremature Cord5.0.-10.2 mEq/L5.0-10.2 mmol/L48 h3.0-6.0 mEq/L3.0-6.0 mmol/LNewborn, cord5.6-12.0 mEq/L5.6-12.0 mmol/LNewborn3.7-5.9 mEq/L3.7-S.9 mmol/LInfant4.1-5.3 mEq/L4.1-5.3 mmol/LChild3.4-4.7 mEq/L3.4-4.7 mmol/LAdult3.5-5.1 mEq/L3.5-5.1 mmol/LUrine, 24 h25-125 mEq/d, varies with diet25-125 mmol/d; varies with dietCSF70% of plasma level or 2.5-2.3 mEq/L: rises with plasma hyperosmolality0.70 pf plasma level or 2.5-3.2 mmol/L: rises with plasma hyperosmolility